Which of the following is reabsorbed along with sodium in early portion of proximal tubules?
1. Glucose
2. Amino acids
3. Bicarbonate
4. All of the above

Correct answer: 4. All of the above

Explanation: Glucose, amino acids, and bicarbonate are reabsorbed along with Na+ in the early portion of the proximal tubule. Glucose is typical of substances removed from the urine by secondary active transport. Also know: Normally about 60% of the filtered Na+ is reabsorbed in the proximal tubule, primarily by Na-H exchange. Another 30% is absorbed the Na-2Cl-K cotransporter in the thick ascending limb of the loop of Henle. Ref: (2012). Chapter 37. Renal Function & Micturition. In Barrett K.E., Boitano S, Barman S.M., Brooks H.L. (Eds), Ganong's Review of Medical Physiology, 24e.